Ovoid areas if destruction parallel to dentinal tubules, which are formed by focal coalescence and breakdown of a few dentinal tubules are called as:
1. Eburnated dentin.
2. Liquefaction foci.
3. Affected dentin.
4. Infected dentin.

Correct answer: 2. Liquefaction foci.